Cat scratch disease is caused by
1. Moraxella
2. Bartonella
3. Pseudomonas
4. Kochalimala

Correct answer: 2. Bartonella